A 59-year-old woman comes to a local hospital for uterine cancer surgery. As the uterine artery passes from the internal iliac artery to the uterus, it crosses superior to which of the following structures that is sometimes mistakenly ligated during such surgery?,
1. Ovarian artery
2. Ovarian ligament
3. Uterine tube
4. Ureter

Correct answer: 4. Ureter

Explanation: The ureter runs under the uterine artery near the cervix; thus, the ureter is sometimes mistakenly ligated during pelvic surgery. The other structures mentioned are not closely related to the uterine artery near the uterine cervix.